All of the following about Gastrointestinal carcinoid tumors are true, Except -
1. Small intestine and appendix account for almost 60% of all gastrointestinal carcinoid
2. 5 year survival for carcinoid tumors is > 60%
3. Rectum is spared
4. Appendicial carcinoids are more common in females than males

Correct answer: 3. Rectum is spared

Explanation: Ans. is 'c' i.e., Rectum is spared Rectum is not spared, but is infact a common site for carinoid tumor.About other options:o 5 year survival for carcinoid tumors is >60%# Sabiston writes-44 Carcinoid tumors have the best prognosis of all small bowel tumors, whether the disease is localized or metastatic. Resection of a carcinoid tumor localized to its primary site approaches a 100% survival rate. Five-year survival rates are about 65% among patients with regional disease and 25% to 35% among those with distant metastasis."o Appendicial carcinoids are more common in females than males# "Appendicial carcinoids are more common in females. Two to three cases of appendecial carcinoids are female."- Sleisenger and Fordtran's Gastrointestinal and Liver Disease 8/e p609o Small intestine and appendix account for almost 60% of all gastrointestinal carcinoid# Data from various books vary but as far as the question goes this can be taken to be true as option 4c' is definitely wrong. In GIT small intestine and the appendix are the most common sites. Infact small intestine is the 2nd most common site in body after bronchus.